In Bronchiolitis followings is/are seen-
1. Seen in children 5 months to 3 years of age
2. Caused by streptococcus pheumoniae
3. Chest X-ray shows hyperinflation bilaterally
4. All

Correct answer: 3. Chest X-ray shows hyperinflation bilaterally

Explanation: Ans. is 'c' i.e., Chest X-ray shows the hyperinflation bilaterally